Mouth opening is due to action of
1. Lateral pterygoid
2. Medial pterygoid
3. Temporalis
4. Masseter

Correct answer: 1. Lateral pterygoid